Simple Iife cycle requires -
1. One host
2. Two host
3. Three host
4. Four host

Correct answer: 1. One host